Most common congenital heart disease associated with Edward's syndrome is
1. Atrial Septal Defect
2. Ventricular Septal Defect
3. Patent Ductus arteriosus
4. Tetralogy of Fallot

Correct answer: 2. Ventricular Septal Defect

Explanation: Most common congenital heart disease associated with Edward's syndrome is Ventricular Septal Defect.